TRUE about vitamin K is
1. It is required for synthesis of factor VIII
2. Long term use of antimicrobials can cause deficiency of vitamin K
3. It is a water soluble vitamin
4. DVT is associated with vitamin K deficiency

Correct answer: 2. Long term use of antimicrobials can cause deficiency of vitamin K

Explanation: (B) Long term use of antimicrobials can cause deficiency of vitamin K[?]VITAMIN K DEFICIENCYoVitamin K is a fat-soluble vitamin that plays an important role in blood clotting-Vitamin K exists in both natural and synthetic forms.oNatural forms of vitamin K include:-Vitamin K1 (Phytonadion) plant & animal sources-Vitamin K2 (Menaquinone) produced by intestinal bacteria-Vitamin K3 (Menndione) syntheticoVitamin K functions:-Activation of clotting factors II, VII, IX, X-Required for gama carboxylation of glutamic acid residues of osteocalcin required for bone development-Activation of anticlotting proteins-Protein C & SoVitamin K deficiency occurs in:-Inadequate absorption (Fat malabsorption syndromes)-Chronic diarrhoea-Use of broad spectrum antibiotics (due to suppression of vitamin K-synthesizing bacterial flora in the gut)-Diffuse liver disease-Coumarin (warfarin) induces deficiencyoDeficiency manifestations:-Bleeding diathesis-Epistaxis, haematuria, GI bleeding, post op bleeding-skinoUses of vitamin k:-Prevention and treatment of bleeding associated with deficiency states-In obstructive jaundice (K1 preferred)-Given routines to all neonates to prevent bleeding as intestinal flora necessary for vitamin k synthesis is not developed-As an antidote to oral anticoagulants toxicity-A/E: Anaphylaxis, flushing, sweating, dyspnoea, cyanosis, cardiovascular collapseVitamin K deficiency*. Source of vitamin KGreen vegetables Synthesized by intestinal flora*. Required for synthesisFactors II, VII, IX, X Protein C and S*. Causes of deficiencyMalnutrition Biliary obstruction Malabsorption Antibiotic therapy*. TreatmentVitamin K Fresh frozen plasmaOther Options[?]It is required for synthesis of factor VIIIoSince a vitamin K dependent protein, protein C, can inactivate factor VIII, a study was undertaken to determine if the level and stability of factor VIII in plasma are influenced by such a protein.[?]It is a water soluble vitaminoVitamin B1 (thiamine), Vitamin B2 (riboflavin), Vitamin B3 (niacin), Vitamin B5 (pantothenic acid), Vitamin B6, Vitamin B7 (biotin), Vitamin B9, Vitamin B12 (cobalamin), Vitamin C[?]Deep vein thrombosis (DVT) low vitamin D levels are associated with idiopathic deep vein thrombosis.oDeep vein thrombosis (DVT) is the formation of a blood clot in one or more deep veins. Idiopathic means that it is a condition that occurs unexpectedly or in which the cause is unknown.oDVT may develop if you are sitting for long periods of time or if you have certain medical conditions that affect your body's ability to form blood clots.